Atypical pneumonia is caused by -
1. Staph aureus
2. Stre pneumonia
3. P carinii
4. H influenzae

Correct answer: 3. P carinii

Explanation: Ans. is 'c' i.e., P carinii o Important causes of atypical pneumonia are Mycoplasma pneumoniae (most common cause), viruses (influenza, RSV, adenovirus, rhinovirus, corona virus), legionella, chlamydia, coxiella bumetti, and P. carinii.